Which of the following is true about anemia of chronic disease
1. Increased TIBC
2. Normal serum iron levels
3. Normal or increased serum ferritin
4. Increased transferrin saturation

Correct answer: 3. Normal or increased serum ferritin

Explanation: Ref Harrison 19 th ed pg 628 AI is normo- cytic and normochromic. The iron values usually make the differential diagnosis clear, as the ferritin level is normal or increased and the percent transferrin saturation and TIBC are typically below normal.